The typical Chest X-ray findings due to interstitial edema in left ventricular failure is:
1. Cardiomegaly
2. Kerley lines
3. Upper lobe blood diversion
4. Prominent right descending pulmonary artery

Correct answer: 2. Kerley lines

Explanation: Chest X-ray Features of Left ventricular failure: Cardiomegaly Kerley lines Prominent upper lobe veins Bat's wings shadow Pleural effusion Kerley B line is due to interstitial oedema. Prominent right descending pulmonary artery is seen in acute pulmonary embolism. Ref: AJR Am J R 1976 Jun;126:1147-5.